Alirocumab and Evolocumab are:
1. NPGL1 inhibitors
2. Microsomal transport protein inhibitors
3. PCSK - 9 inhibitors
4. Lipoprotein lipase inhibitors

Correct answer: 3. PCSK - 9 inhibitors

Explanation: PCSK - 9 expressed over many tissues which inhibits metabolism of LDL - receptors. Drugs like Alirocumab & Evolocumab inhibit PCSK - 9 and increased LDL - receptor turnover. Thus they decrease the levels of LDL.